Potassium iodide is useful in the treatment of -
1. sporotrichosis
2. Impetigo
3. Viral was
4. Dermatitis herpetiformis

Correct answer: 1. sporotrichosis

Explanation: Sporotrichosis is a fungal infection that is caused by Sporothrix schenckii . Drug of choice for lymphocutaneous sporotrichosis is potassium iodide saturated solution Iadvl textbook of dermatology page 306